Defective fumarylacetoacetate hydrolase enzyme is associated with
1. Type 1 Tyrosinemia
2. Type 2 Tyrosinemia
3. Type 3 Tyrosinemia
4. Type 4 Tyrosinemia

Correct answer: 1. Type 1 Tyrosinemia

Explanation: Defective fumarylacetoacetate hydrolase enzyme is associated with type I tyrosinemia (tyrosinosis). it is the most common type of tyrosinemia. Therapy employs a diet low in tyrosine and phenylalanine and nitisinone (NTBC). Reference: Harpers illustrated biochemistry 30th edition